Which of the following drug shows disulfiram like reaction with alcohol?
1. Amphotericin B
2. Griseofulvin
3. Terbinafine
4. Rifampicin

Correct answer: 2. Griseofulvin

Explanation: Drugs causing disulfiram like reaction Sorry-Sulfonylureas(1st generation- like chlorpropamide) Pluto-Procarbazine Can't-Cephalosporins(Cefotetan,Cefoperazone) Go-Griseofulvin to Mars-Metronidazole